A per NFHS III data, the wealthiest state is:
1. Delhi
2. Haryana
3. Punjab
4. Goa

Correct answer: 1. Delhi

Explanation: Delhi has the highest percentage of population (70%) in the highest quintile of wealth index, followed by Goa (55%). States with low wealth index include Chhattisgarh and Orissa. Ref: Park 21st edition page: 639.